Positive metacarpal sign is seen in?
1. Downs syndrome
2. Marfans syndrome
3. Turners Syndrome
4. Klienfelters Syndrome

Correct answer: 3. Turners Syndrome

Explanation: - Short 4th Metacarpal is called Positive Metacarpal sign is seen with Turners syndrome. It can be seen as a normal variant also.